Which drug directly stimulates contraction of cardiac muscle
1. Digitalis
2. ACE inhibitors
3. Nesiritide
4. Losartan

Correct answer: 1. Digitalis

Explanation: Ans. is'a'i.e., DigitalisCardiac glycosides (digitalis) act directly on the heart to increase the force of contraction.